In a patient with myocardial infraction the valvular lesion commonly seen in
1. Aortic stenosis
2. Mitral regurgitation
3. Aortic regurgitation
4. Septal defect

Correct answer: 2. Mitral regurgitation

Explanation: Reg Harrison 19 th ed pg 1524 The most common valvular lesion seen in MI is mitral regurgitation.